Alcohol dependence is defined as
1. Drinks even while knowing that it causes bodily harm
2. Withdrawal state when alcohol use has ceased
3. Evidence of tolerance
4. All of the above

Correct answer: 4. All of the above

Explanation: Ans) d (All of the above) Ref international Classification of Diseases 10 (/CD-10) page 75-76Alcohol dependence syndrome Dependence syndromeA cluster of behavioral, cognitive, and physiological phenomena that develop after repeated substance use and that typically include a strong desire to take the drug, difficulties in controlling its use, persisting in its use despite harmful consequences,a higher priority given to drug use than to other activities and obligations, increased tolerance, and sometimes a physical withdrawal state.The dependence syndrome may be present for a specific psychoactive substance (e.g. tobacco, alcohol, or diazepam), for a class of substances (e.g. opioid drugs), or for a wider range of pharmacologically different psychoactive substances.Diagnostic guidelines:A definite diagnosis of dependence should made only if 3 or more of the following have been present together at the sometime during the previous year:A strong desire or sense of compulsion to take the substanceDifficulties in controlling substance taking behavior in terms of its onset, termination, or levels of useA physiological withdrawal state when substance use has ceased or been reduced, as evidenced by; the characteristic withdrawal syndrome; or use of the same substance with the intention of relieving or avoiding withdrawal symptomsEvidence of tolerance, such that increased doses of psychoactive substance are required in order to achieve effects originally produced by lower dosesProgressive neglect of alternative pleasures or interests because of psychoactive substance use, increased amount of time necessary to obtain or take the substance or to recover from its effect;Persisting with the substance use despite clear evidence of overtly harmful consequences.